Which of the following does not move with deglutition
1. Thyroglossal cyst
2. Thyroid nodule
3. Sublingual dermoid
4. Para tracheal nodes

Correct answer: 3. Sublingual dermoid

Explanation: Structures moving with deglutition are Thyroglossal cyst Thyroid gland Pretracheal and para tracheal nodes Sub hyoid bursa